Dose of oseltamivir for chemoprophylaxis in an infant is:-
1. 3 mg / kg once daily
2. 20 mg once a day
3. 20 mg twice a day
4. 20 mg thrice a day

Correct answer: 1. 3 mg / kg once daily

Explanation: Oral oseltamivir for treatment of influenza Age Weight Dose Frequency Duration <1yr 3mg /kg* Twice daily* 5 days* >1yr <15kg 30mg 15-23kg 45mg 23-40kg 60mg >40kg 75mg* Oral oseltamivir for Chemoprophylaxis 3 months-1yr 3mg /kg* once daily* 7 days* >1yr <15kg 30mg 15-23kg 45mg 23-40kg 60mg >40kg 75mg*